Which of the following statements is true about endemic typhus -
1. Is caused by R. Rickettsii
2. Is transmitted by the bite of fleas
3. Has no mammalian reservoir
4. Can be cultured in chemically defined culture medium

Correct answer: 2. Is transmitted by the bite of fleas

Explanation: Endemic or flea-borne typhus or murine typhus is transmitted by bite of flea. Rats are the reservoir. Causative agent is Rickettsia typhus. Park's textbook of preventive and social medicine,K.Park,23rd edition,page no:300